Normal vaginal anaerobe is:
1. Lactobacillus
2. Corynebacterium
3. Gardenella
4. E. coli

Correct answer: 1. Lactobacillus

Explanation: Lactobacillus are gram positive bacilli, nonspore forming anaerobes. Normally they are present in mouth, intestines and vagina. They rarely cause disease, though L.catenaforme is associated with bronchopulmonary infections. Most of them are vancomycin resistant. Lactobacillus forms the predominat bacterial flora of vagina. They ferment glycogen deposited in the vaginal epithelium and forms lactic acid which helps to maintain a acidic pH. Good to know: Albert Dorderlein in 1891 described the cultural and physiological characters of organism,"Lactobacilus acidophillus", which has since born its name as "Dorderlein bacillus" . Ref: Jawetz, 'Medical microbiology', 23rd Edition, Page 244 ; A textbook of microbiology, By P.Chakraborty, 2nd Edition, Page 309.